The half life of Cobalt -60 is
1. 3.4 years
2. 5.2 years
3. 1.2 years
4. 2.3 years

Correct answer: 2. 5.2 years

Explanation: B i.e. 5.2 years